Transfusion reaction and erythroblastosis fetalis are?
1. Type I hypersensitivity
2. Type II hypersensitivity
3. Type III hypersensitivity
4. Type IV hypersensitivity

Correct answer: 2. Type II hypersensitivity

Explanation: Ans. is `b' i.e., Type H hypersensitivity